Which of the following is not a Type I hypersensitivity reaction
1. Casoni's test
2. Food allergy
3. Prausnit2 - Kastner reaction
4. Contact dermatitis

Correct answer: 4. Contact dermatitis

Explanation: Contact dermatitis is Type IV hypersensitivity reaction.